Superficial epigastric artery is a branch of
1. Internal pudendal artery
2. External pudendal artery
3. Internal iliac artery
4. Femoral artery

Correct answer: 4. Femoral artery

Explanation: branches of femoral artery - In the femoral triangle, it gives off six branches, three superficial and three deep. The superficial branches are the superficial external pudendal, the superficial epigastric and the superficial circumflex iliac. The deep branches are the profunda femoris, the deep external pudendal and muscular branches. Ref : B D Chaurasi's Human Anatomy , seventh edition , volume 2 , pg. no., 48